3 ATP's are formed in the following steps of kreb's cyclea) Isocitrate dehydrogenaseb) Succinate dehydrogenasec) Succinate thiokinased) Malate dehydrogenase
1. b
2. ad
3. ac
4. ab

Correct answer: 2. ad

Explanation: Isocitrate dehydrogenase & Malate dehydrogenase

According to older calculations, 3 ATPs (via NADH) are formed at : (i) Isocitrate dehydrogenase, (iii) a-ketoglutarate dehydrogenase, and (iii) Malate dehydrogenase.
However, according to recent studies only 2.5 ATPs are produced (via NADH) at all these steps.